Telogen phase of hair cycle lasts for
1. 3 Days
2. 3 Weeks
3. 3 Months
4. 3 Years

Correct answer: 3. 3 Months

Explanation: Hair cycles:- anagen - catagen - telogen. 1) Anagen:- Hairgrowth phase, duration of phase determines length of hair, duration 2-6 years on scalp; 85% of hairs in this cycle at any one time. 2) Catagen:- Transitionalphase (regression); bulb regresses and IRS lost, 2-4 week duration on scalp; 2% hairs in this cycle. 3) Telogen:- Resting phase, proximal hair terminal is club-shaped instead of bulb-shaped, duration of cycle approximately 3 months in scalp; 15% of hairs in this cycle; dermal papilla located higher up in dermis during telogen. Ref:- Sima Jain; pg num:-13